Filigree burns occur in -
1. Lightening
2. Electrocution
3. Vitrilage
4. Infanticide

Correct answer: 1. Lightening

Explanation: Ans. is 'a' i.e.. Lightening Lightening burnso Lightening refers to discharge of current between a negatively charged cloud and positively charged article on earth. During lightening, injuries result due to following mechanismsDirect effect of h igh voltage cu rrent.Heat, Le. super heated air causing burns.Expanded and displaced air, which acts as a blast wave.Sledge hammer blow by compressed air pushed before the current (sledge hammer effect and blow death).o The characteristic finding in lightening bums is filigree burns/ arborescent burns/arbo rescent marking/ litchenberg flower. In this bums are seen as coloured branching patterns, especially on shoulder and flanks. This branching distribution like inverted tree, does not correspond to blood vessels.